The 23 valent pneumococci vaccine is recommended in all except -
1. CSF leak
2. Chronic cardiac disease
3. Chidren less than 2 years
4. Nephrotic syndrome

Correct answer: 3. Chidren less than 2 years

Explanation: Ans. is 'c' i.e., Children less then 2 years Pneumacoccal vaccine . There are two types of pneumococcal vaccines available : ? 1) Polyvalent (23 type) polysaccharide vaccine This polysaccharide vaccine represents the capsular antigen of 23 most prevalent serotypes. - It gives 80-90% protection which is long lasting (5 years). - It is not meant for general use, but only in persons at enhanced risk of pneumococcal infection such as those with absent or dysfunctional spleen; sickle cell disease, coeliac disease; Chronic liver or renal or lung or cardiac disease, DM, CSF leaks (meningeal disruption: dural tear) and; immunodeficiency including HIV infection. - It is not recommended in children under two years of age and those with lymphoreticular malignancies and immunosupprassive therapy. 2)Conjugate vaccine - A different pneumococcal vaccine containing pneumococcal polysaccharide coupled (conjugated) to a carrier protein (diphtheria toxoid) has been developed. - The vaccine contains the capsular polysaccharide of seven most common pneumococcal serotypes. - It can be given to children under the age of 2 years (but more than 6 weeks old).